Pulmonary edema associated with normal pulmonary capillary wedge pressure (PCWP) is seen in all, except:
1. High-altitude pulmonary edema
2. Bilateral renal artery stenosis
3. Cocaine overdose
4. Post cardiopulmonary bypass

Correct answer: 2. Bilateral renal artery stenosis

Explanation: Pulmonary edema associated with normal PCWP is seen in Non-cardiogenic pulmonary edema. Bilateral renal artery stenosis is not associated with normal PCWP instead it leads to systemic hypertension, accelerated target organ injury, left ventricular hypertrophy and renal fibrosis. Ref: Harrison's Internal Medicine, 18th Edition, Pages 280-281, 2232, 2375